Tactile Hallucinations are seen in
1. Alcohol
2. Heroin
3. Cocaine
4. Phenargan

Correct answer: 3. Cocaine

Explanation: C i.e. Cocaine